The anti–arrhythmic drug of choice in most of the cases of acute paroxysmal supraventricular tachycardia is:
1. Adenosine
2. Amiodarone
3. Propranolol
4. Quinidine

Correct answer: 1. Adenosine